All of the following statements about the splenic artery are true except
1. It has a tortuous course
2. Is a branch of the celiac trunk
3. It has branches that anastomose freely within the spleen
4. Supplies the greater curvature of the stomach

Correct answer: 3. It has branches that anastomose freely within the spleen

Explanation: Splenic artery is a branch of celiac artery The splenic artery does not have branches that freely anatomose within the spleen. The branches of the splenic artery are branch to the pancreas, short gastric ,left gastroepiploic, posterior gastric. Short gasric arteries supply greater curvature of stomach. Ref - bdcvol2 6e pg276,277